Hemiplegia is most commonly caused by thrombosis of
1. Anterior cerebral artery
2. Middle cerebral artery
3. Posterior cerebral artery
4. Basilar artery

Correct answer: 2. Middle cerebral artery